Cryptoccoccal meningitis is common in:
1. Renal transplant recipient
2. Agammaglobulinemia
3. Neutropenia
4. IgA deficiency

Correct answer: 1. Renal transplant recipient

Explanation: Ans. (a) Renal Transplant recipient 'f. Harrison I9/e Predisposang factors ot Cryptococcus AIDS Hodgkin' Hematological malignancy Solid organ transplant recipient Coiocosteroid therapy Sarcoidosis